Which artery is palpated at the anterior border of masseter -
1. Superficial temporal
2. Occipital
3. Facial
4. External carotid

Correct answer: 3. Facial

Explanation: Ans. is 'c' i.e., Facial o The facial artery enters the face by winding around the base of the mandible and by piercing the deep cervical fesia, at the anteroinferior angle of masseter muscle. It can be palpated here and is called 'anaesthetist artery'Facial arteryo Chief artery of the face,o Branch of external carotid artery.o Given of above the level of the tip of the greater cornu of the hyoid bone, in carotid triangle,o It is very tortuous artery. The tortuosity prevents its walls from being unduly stretched during movements of mandible, lips & cheeks,o Branches are :Inferior labialSuperior labialLateral nasalPosterior (unnamed) brancheso Anastomoses of facial artery are :Anterior branches anastomose with branches of mental artery.Posterior branches anastomose with transverse facial and infraorbital arteries.Terminal branch anastomoses with branches of ophthalmic artery at the medial angle of eye, a site for anastomosis between branches of external and internal carotid arteries.